Drug that is safe in G6PD deficiency:
1. Primaquine
2. Acetanilide
3. Quinidine
4. Dapsone

Correct answer: 3. Quinidine

Explanation: c. Quinidine(Ref: Nelson's 20/e p 2335, Ghai 8/e p 339)Quinidine does not carry risk of hemolysis in persons with G-6-PD deficiency.